TRUE about blood supply of scaphoid
1. Mainly through ulnar artery
2. Major supply from ventral surface
3. Major supply from dorsal surface
4. Proximal supply in antegrade fashion

Correct answer: 3. Major supply from dorsal surface

Explanation: Major blood supply to the scaphoid is the radial artery. 70-80 % of the intraosseous vascularity and the entire proximal pole is from branches of the radial artery entering through the dorsal ridge.